Tetraethylammonium (TEA) is a blocker of the:
1. Na+ channels
2. K+ channels
3. Chloride channels
4. Ca++ channels

Correct answer: 2. K+ channels

Explanation: Tetraethylammonium (TEA) ion is known to block the K+ channels. It is used sometimes to stop the K+ currents, in order to study the other ionic currents and their effects on membrane potential. Tetrodotoxin (TTX) and saxitoxin (STX) are the blockers of Na+ channels. Niflumic acid is Cl- channel blocker used in scientific research studies.